Causative organism of tropical spastic paraparesis is?
1. HIV 1
2. HIV 2
3. HBV
4. HTLV

Correct answer: 4. HTLV

Explanation: Tropical spastic paraparesis(TSP) is a disease of the spinal cord caused by Human T cell lymphotropic virus(HTLV). Alternate names: HTLV associated myelopathy, chronic progressive myelopathy. Paraparesis is a characteristic feature. Other features include uveitis, arthritis, alveolitis, polymyositis, keratoconjunctivitis sicca and infectious dermatitis.